A 27 year old sexually active male develops a vesiculobullous lesion on the glans soon after taking tablet paracetamol for fever. The lesion healed with hyperpigmentation. The most likely diagnosis is -
1. Behcet's syndrome
2. Herpes genitalis
3. Fixed drug eruption
4. Pemphigus vulgaris

Correct answer: 3. Fixed drug eruption

Explanation: Fixed drug eruption manifests as skin lesions at fixed sites following drug intake. Page no.294. Reference IADVL's concise textbook of dermatology